Components of 50S ribosomal subunit are
1. 5S RNA, 5.8S & 28S RNA
2. 16S RNA & 23S RNA
3. 23S RNA & 5.8S RNA
4. 23S RNA & 5S RNA

Correct answer: 4. 23S RNA & 5S RNA

Explanation: Prokaryotic 70S ribosome made up of 50S (large subunit) made up of 30S (small subunit) made up of 23S RNA 5S RNA 16S RNA